Drug of choice for West syndrome in children is?
1. Vigabatrin
2. Valproate
3. ACTH
4. Lamotrigene

Correct answer: 3. ACTH

Explanation: - Drug of choice for West syndrome in children is either ACTH or steroids. (ACTH > Steroids) - In children with Tuberous sclerosis - Vigabatrin is preferred. - West syndrome is characterized by triad of Infantile spasms (SALAAM ATTACKS) Developmental delay Hypsarrhythmia (on EEG)